True about prions:
1. Composed largely proteins without any nucleic acid
2. Phase in which virus cannot be demonstrated in host cell
3. Viruses which are genetically deficient
4. Viral components may be synthesized but maturation & assembling is defective.

Correct answer: 1. Composed largely proteins without any nucleic acid